Which of the following is the disorder of purine?
1. Hyperammonemia
2. Gout
3. Orotic acduria
4. Hanop disease

Correct answer: 2. Gout

Explanation: Uric acid , is the end product of purine catabolism. The most common disorder of purine metabolism is an elevation of uric acid level . Gout : It is due to accumulation of urate crystals in the synovial fluid resulting in inflammation leading to acute arthritis. Ref : DM.VASUDEVAN.TEXTBOOK SEVENTH EDITION ; PAGE NO : 566.